TRUE about immunoglobulins is:
1. IgE fixes complements
2. IgM fixes complements
3. IgG is found in minimum concentration
4. IgG is elevated in primary immune response

Correct answer: 2. IgM fixes complements

Explanation: Answer is B (IgM fixes complements): IgM and IgG .fix complement the classical pathway